All of the following are vasodilators except
1. Methyl dopa
2. Nitroprusside
3. Hydralazine
4. Diazoxide

Correct answer: 1. Methyl dopa

Explanation: Methyldopa is a centrally acting alpha-agonist Hydralazine, diazoxide, and nitroprusside are vasodilators. Hydralazine, diazoxide- arteriolar dilators- potassium channel openers Nitroprusside- both arteriolar and venous dilator REF.Essentials of Medical Pharmacology-kD Tripathi 8th ed.